Most appropriate treatment of facial nerve injury in lateral facial wound is:
1. Secondary repair
2. Primary repair
3. Secondary repair with grafting
4. Healing with secondary intention

Correct answer: 2. Primary repair

Explanation: (b) Primary repair(Ref. Scott Brown, 6th ed., 1403)Any sudden onset palsy following injury (iatrogenic or non iatrogenic trauma), should be managed by immediate exploration and repair.